Mikulicz cells and Russell bodies are seen in
1. Rhinoscleroma
2. Rhinophyma
3. Rat bite fever
4. Lyme disease

Correct answer: 1. Rhinoscleroma

Explanation: Rhinoscleroma # Chronic granulomatous infection of nose and upper respiratory tract # Affects adults, mainly in tropical locations # Transmitted by inhalation of Klebsiella rhinoscleromatis # a/w cellular immune defects: inability of macrophages to kill phagocytosed bacteria - Mikulicz cells (large, vacuolated histiocytes containing bacteria) # Three clinical phases: * Catarrhal phase (rhinitis, obstruction from soft tissue edema) * Granulomatous/infiltrative phase (granulomatous nodules in nose/URT, epistaxis, dysphonia, anesthesia of soft palate, and Hebra nose) * Sclerotic phase (extensive scarring requires tracheotomy and nasal reconstruction) Histology:- Dense pan-dermal infiltrate of Mikulicz cells containing bacteria (seen w/ Warthin-Starry, Giemsa) and Russell bodies Treatment:- Tetracycline(treatment of choice) for 6 months along with surgical correction of airway; ciprofloxacin is second line. Above picture shows RUSSELL Bodies Ref:- Review of Dermatology by Alikhan; pg num:-299